Which of the following variants of hypoxia does not stimulate peripheral chemoreceptors :
1. Hypoxic hypoxia
2. Anaemic hypoxia
3. Stagnant hypoxia
4. Histotoxic hypoxia

Correct answer: 2. Anaemic hypoxia

Explanation: B i.e. Anemic hypoxia